Cremastric muscle is supplied by?
1. Iliohypogastric nerve
2. Ilioinguinal nerve
3. Femoral nerve
4. Genitofemoral nerve

Correct answer: 4. Genitofemoral nerve

Explanation: Ans. d (Genitofemoral nerve). (Ref. BD Chaurasia, Human Anatomy- Vol. II, 3rd ed., 61, 179)GENITOFEMORAL NERVE (L1, L2)# Genitofemoral nerve originates from the upper part of the lumbar plexus of spinal nerves.# The genitofemoral nerve is responsible for both efferent and afferent limbs of the cremasteric reflex.# The ilioinguinal nerve (L1) is also involved in the afferent limb of the reflex.# It emerges on the anterior surface of the psoas major muscle and divides into two branches:- Femoral branch, or lumboinguinal nerve, supplies skin anterior to the upper part of femoral triangle- Genital branch:* in males, it travels through the superficial inguinal ring, along with the spermatic cord, and supplies the cremaster muscle and the scrotal skin* in females, it ends in the skin of the mons pubis and labia majora.